A 30 year old patient with history of recurrent headache was sent for fundus evaluation. He was found to be having generalized arterial attenuation with multiple cotton wool spots and flame shaped haemorrhages in both eyes. The most likely cause is -
1. Diabetic retinopathy
2. Hypertensive retinopathy
3. Central retinal artery occlusion
4. Temporal arteritis

Correct answer: 2. Hypertensive retinopathy

Explanation: B i.e. Duration of disease The presence & degree of diabetic retinopathy is more closely related to the duration of disease than to its severityQ. Duration of disease is the most important and best predictor Q of diabetic retinopathy. In diabetic retinopathy arteriolar changes consist of narrowing Q (not dilation) silver-wiring and obliteration resembling branch retinal artery occlusion. And venous changes are bending, looping and sausage like segmentation.